Most important factor for calculating dose for NSAIDS in children?
1. Age of child
2. Body weight of child
3. Flavour of salt
4. Extent of pain

Correct answer: 2. Body weight of child